A 2 day old newborn baby presented with microcephaly, macroglossia, visceromegaly and a blood glucose level of 20 mg/d1. What is the most likely diagnosis
1. Prader-Willi syndrome
2. Beckwith Wiedman syndrome
3. Werner syndrome
4. Cockayne syndrome

Correct answer: 2. Beckwith Wiedman syndrome

Explanation: Ans. is 'b' i.e., Beckwith-Wiedman syndrome o Beckwith-Wiedman syndrome has been explained -3 See wilms tumor.